Preferred biochemical marker(s) in patients presenting with myocardial infarction:
1. Myoglobin
2. Cardiac specific Troponins
3. CK-MB
4. All of the above

Correct answer: 2. Cardiac specific Troponins

Explanation: Cardiac specific Troponins (TROP I / TROP II ||) Myoglobin affects skeletal muscle also so we cannot see if it's the case of M.I TROP I: || Within 3 hrs CK-MB: || > 4 hrs